in census literacy rate is assessed by:
1. Attended literacy classes for one year
2. Ability to write signature
3. Ability to read and write
4. Attended schooling

Correct answer: 3. Ability to read and write

Explanation: Ans: C (Ability to read and write) Ref: Textbook of Preventive and Social Medicine, K Park. 22nd edition. page no 44 7Explanation:Census is conducted once in 10 years in India.Literacy rate is assessed those above 7 years ageIn census it was first used in 1991 censusA person who can read and write with understanding in any language is considered as literateA person who can merely read but cannot write is not considered literate